Radiological findings of scurvy are all except
1. Metaphyseal infarction
2. Pelkan spur
3. Epiphyseal widening
4. Metaphyseal porosis

Correct answer: 3. Epiphyseal widening

Explanation: Radiological features of scurvy: Palkan spur : metaphyseal spurs projecting at right angles to the shaft. White line of Frankel : calcified cartilage in the metaphysis Trumefeld zone : zone of rarefraction below the white line of Frankel Wimburger sign : ring surrounding the ephiphyseal centres of ossification Pencil thin cortex Subperiosteal hemorrhages Generalised osteoporosis Cupping or ring shaped epiphysis due to subepiphyseal infarctions